Modified Kastenbaum surgery is done for
1. Esotropia
2. Nystagmus
3. Superior oblique palsy
4. Third nerve palsy

Correct answer: 2. Nystagmus

Explanation: Modified Kastenbaum Surgery *Recession resection of all four horizontal recti is done according to the type and amount of nystagmus